Which of the following is not a contradiction for use of digitalis?
1. Acute rheumatic carditis
2. Thyrotoxicosis
3. WPW Syndrome
4. Hyperkalemia

Correct answer: 4. Hyperkalemia

Explanation: Ref:KDT 6/e p499 Digitalis compounds arecontraindicated in patients who are hypokalemic, or who have atrioventricular block or Wolff-Parkinson-White (WPW) syndrome. Impaired renal function leads to enhanced plasma levels of digoxinbecause digoxin is eliminated by the kidneys.